At what age (in years) does-a child attain a height of 100 cms?
1. 2
2. 3
3. 4
4. 5

Correct answer: 3. 4

Explanation: Ans. (c) 4 yearsRef: OP Ghai 8th ed./13* Length of Indian baby at birth=50cm* Length at 1 year=75cm* Length at 4 1/2 years= 100cm* Subsequently 5-6 cm/year* Pubertal growth spurt=6-8cm/year